The principal polypeptide that increases food intake are the following, EXCEPT:
1. Neuropeptide-Y
2. Leptin
3. Orexin-A
4. Endocannabinoid

Correct answer: 2. Leptin

Explanation: The major afferent signal allowing the brain to sense the level of energy stores is the hormone leptin. Circulating leptin levels are proportionate to the amount of body fat. Higher circulating leptin levels generally reduce, while lower levels generally increase, appetite. Factors that increases the appetite: Neuropeptide Y Melanin-concentrating hormone Agouti-related peptide Orexin Endocannabinoid Ref: Paulsen D.F. (2010). Chapter 6. Adipose Tissue. In D.F. Paulsen (Ed), Histology & Cell Biology: Examination & Board Review, 5e.